Which of the following drug is used for medical treatment of gall stones
1. Clemastine fumarate
2. Mizolastine
3. Lovastatin
4. Ursodeoxycholic acid

Correct answer: 4. Ursodeoxycholic acid

Explanation: Dissolution therapy for asymptomatic cholestrol stones can be done with ursodeoxycholic acid,which is a bile acid that dissolves cholesterol.